Alveolitis sicca dolorosa is otherwise known as
1. Trigeminal neuralgia
2. Sicca Syndrome
3. Dry socket
4. Myospherulosis

Correct answer: 3. Dry socket